For karyotyping, the dividing cells are arrested by the addition of colchicine in which of the following mitotic phase?
1. Prophase
2. Metaphase
3. Anaphase
4. Telophase

Correct answer: 2. Metaphase

Explanation: Chromosomes are examined after arresting dividing cells in metaphase with mitotic spindle inhibitors (e.g., N-diacetyl N-methylcolchicine), followed by staining.